All of the following are present in lateral sulcus except:
1. Middle cerebral artery
2. Superficial middle cerebral vein
3. Deep middle cerebral vein
4. Great cerebral vein

Correct answer: 4. Great cerebral vein

Explanation: Ans. D. Great cerebral veinGreat cerebral vein of Galen is formed by the union of two internal cerebral veins, which run around the brain stem.